Grey baby syndrome is caused by
1. Amikacin
2. Tetracycline
3. Vancomycin
4. Chloramphenicol

Correct answer: 4. Chloramphenicol

Explanation: Amikacin - nephrotoxicity, ototoxicity and neuromuscular blockade Tetracycline - nephrotoxicity when given along with diuretics, phototoxicity, , affect dentition and bones in young children, Fanconi syndrome and Renal tubular acidosis. Vancomycin - red man syndrome Chloramphenicol- grey baby syndrome,nephrotoxicity,ototoxicity.